All the following signs could result from infection within the right cavernous sinus except:
1. Constricted pupil in response to light
2. Engorgement of the retinal veins upon ophthalmoscopic examination
3. Ptosis of the right eyelid
4. Right Ophthalmoplegia.

Correct answer: 1. Constricted pupil in response to light

Explanation: A i.e. Constricted pupil in response to light